Which of these is not a risk factor for endometriosis?
1. Shorter menstrual cycle length
2. Early age of menarche
3. Prior use of IUCD
4. Nulliparity

Correct answer: 3. Prior use of IUCD

Explanation: For endometriosis, following are risk factors and protective factors LEARNING TIP: Any scenario that increases number of cycles in a woman's lifetime like early menarche, hypermenorrhea, no pregnancies (infertility/nulliparity), shorter cycles. Also any case where there is obstruction to flow that would increase risk of retrograde menstruation are risk factors Increased risk Protective Not associated with increased risk Infertility Lactation Smoking Early menarche Prior use of IUCD Hypermenorrhea Nulliparity multiparity Mullerian anomalies Low birth weight, tall height High BMI, waist to hip ratio Endometriosis in first degree relative Tobacco exposure in utero Diet high in fat and red meat Fruit and vegetable diet